Killian's dehiscence is found outpouching of:
1. Oropharynx.
2. Nasopharynx.
3. Laryngopharynx.
4. Lateral nasal wall.

Correct answer: 3. Laryngopharynx.